Shallow anterior chamber is seen in:
1. Mature cataract
2. Hypermature cataract
3. Intumuscent cataract
4. Incipient cataract

Correct answer: 3. Intumuscent cataract

Explanation: Intumuscent cataract